Cyclic trends are seen in which of the following -
1. Rabies
2. Measles
3. Cholera
4. Hepatitis

Correct answer: 2. Measles